Signs of organic brain damage are evident on :
1. Bender Gestalt test
2. Rorschach test
3. Sentence completion test
4. Thematic appreception test

Correct answer: 1. Bender Gestalt test

Explanation: Amongst the given options only Beder Gestalt test is used for organic mental disorder.